All of the following drugs can be used in the management of hypertensive crises Except?
1. Hydralazene
2. Trimethophan
3. Nifedipine
4. Indapamide

Correct answer: 4. Indapamide

Explanation: Answer is D (Indapamide) Indapamide is a mild diuretic that may be used for treatment of mild to moderate hypertension It is not effective for the treatment of hypertensive urgencies or emergencies where rapid reduction of blood pressure is required. Indapamide is the single best answer of exclusion. Trimethophan (KDT 6th/115) Trimethophan is an ultrashort acting ganglion blocker IT has been occasionally used in treatment of hypertensive emergencies due to Aortic dissecton (KDT) Nifedipine (KDT 6th/554) Nifedipine may be employedfbr rapid reduction of BP in hypertensive urgencies although its use is not recommended Nifedipine was once one of the most popular drugs used hypertensive urgencies Hydralazine Hydralazine is an effective agent for the management of hypertensive urgencies and emergencies.